Which of the following disease is NOT included under diseases considered as eradicable by the International Task Force for Disease Eradication?
1. Polio
2. Measles
3. Rubella
4. Malaria

Correct answer: 4. Malaria

Explanation: Other diseases considered for global eradication include Filariasis, Dracunculiasis, Taeniasis and Mumps. Ref: Park, 21st Edition, Page 38.